Commonest salivary gland to get stones
1. Parotid
2. Submandibular
3. Minor salivary gland
4. Sublingual

Correct answer: 2. Submandibular

Explanation: Eighty per cent of all salivary stones occur in the submandibular glands because their secretions are relatively viscous. Eighty per cent of submandibular stones are radio-opaque and can be identified on plain radiography. Stones are mainly composed of phosphate and oxalate salts.Ref: Bailey and love, 27e, page no: 780